A 13 year young boy is brought by his parents with history of frequent fighting at school, disciplinary problems, stealing money, assaulting his batch mates and being weak in studies. What is the most appropriate diagnosis for this child:
1. Attention deficit hyperactivity disorder
2. Conduct disorder
3. Autism
4. Nothing abnormal (teenage phenomenon)

Correct answer: 2. Conduct disorder

Explanation: Ans (b) Conduct disorderAhuja 5th/173, Kaplan 9th/1234-6The child is not normal and suffers from conduct disorder.Differentiation between different disorders mentioned in the questionAutismAttention Deficit DisorderConduct DisorderThere is marked impairment of reciprocal social and interpersonal interaction:Absence of social smile* Absence of fear* Lack of attachment to parents and absence of separation anxiety* Lack of friendsMore common in males, the onset occurs before the age of 7 years, characterized, by:* Poor attention span with distractibility* Hyperactivity* Impulsivity* Moving about here and thereThere is violationof rights andrules like:* Frequent lying* Stealing or robbery. Running away from home & school* Physical violence* Cruelty* Poor at studies